Lowest risk of malformations is seen with which of the following antiepileptic drug?
1. Phenobarbitone
2. Valproate
3. Lamotrigine
4. Carbamazepine

Correct answer: 3. Lamotrigine

Explanation: A metanalysis of 31 studies found lamotrigine and levetiracetam to carry the lowest risk of malformations(Ref: William's Obstetrics; 25th edition)